The "Physical quality of life index" takes into account all of the following except?
1. Social policies
2. Economic policies
3. Political policies
4. Economic growth

Correct answer: 4. Economic growth

Explanation: Physical quality of life index (PQLI):
As things stand at present, this important concept of quality of life is difficult to define and even more difficult to measure. Various attempts have been made to reach one composite index from a number of health indicators. The "Physical quality of life index" is one such index. It consolidates three indicators, viz. infant mortality, life expectancy at age one, and literacy. These three components measure the results rather than inputs. As such they lend themselves to international and national comparison. For each component, the performance of individual countries is placed on a scale of 0 to 100, where 0 represents an absolutely defined "worst" performance, and 100 represents an absolutely defined "best" performance. The composite index is calculated by averaging the three indicators, giving equal weight to each of them. The resulting PQLI thus also is scaled 0 to 100. It may be mentioned that PQLI has not taken per capita GNP into consideration, showing thereby that "money is not everything". 

PQLI does not measure economic growth; it measures the results of social, economic and political policies.